Which of the following is a feature of adipocere?
1. Rancid smelling wax like substance
2. Foul smelling oily liquid
3. Has no particular smell
4. None of the above

Correct answer: 1. Rancid smelling wax like substance

Explanation: Adipocere = Saponification- hydrolysis and hydrogenation of fat (Olein and higher fatty acid) by lipases + lecithinase (Cl. Perfringens) hydrolysis, hydrogenation - with Ca+, NH3 - insoluble soap (whole fat to palmitic, oleic, stearic and hydroxy stearic acid). After death - fat contain - 1/2 % FA. In adipocere - FA | 20% (1 month), 70% (3 months). Conditions for adipocere formation: Immersion in water, damp and warm climate + Enzyme lecithinase + fatty tissue. Sites: Buttocks, breast, face, and abdomen. Adipocere has offensive or sweetish smell earlier, later ammoniacal odour; Fresh adipocere- soft, moist, whitish, translucent and float on water, dissolved in alcohol and ether and gives yellow flame on burning, old adipocere hard and cracked appearance. Time required- 3 weeks to upto 3-6 months in summer. It may last for years or decades. Foetus < 7 mths - no adipocere.